Components of Kuppuswamy scale
1. Housing, Livestock, land
2. Income, Occupation, Education
3. Income, Housing, Education
4. Income, Livestock, Housing

Correct answer: 2. Income, Occupation, Education

Explanation: Income, occupation and education are components of Kuppuswamy scale. Modified Kuppuswamy scale: Scale of socioeconomic status of Urban families It comprises of 3 components: Education status of head of family Occupation status of head of family Income of family per month It has: Upper middle 16-25 Lower middle 11-15 Upper lower 05-10 Lower 00-04